The ideal timing of radiotherapy for Willm's tumor after surgery is -
1. Within 10 days
2. Within 2 weeks
3. Within 2 months
4. Any time after surgery

Correct answer: 1. Within 10 days

Explanation: The postoperative radiotherapy in Wilm's tumor is started within 10 days of surgery.
Delay in starting radiotherapy beyond ten days leads to tumor cells repopulation and increases the relapse rate.